Mechanism of action of levosimendan include:
1. Na channel opener
2. K channel opener
3. Beta blocker
4. Beta 1 agonist

Correct answer: 2. K channel opener

Explanation: Ans. (B) K channel opener(Ref: Katzung 11th/e p.221)Levosimendan is an inodilator that act by[?]Ca2+ sensitizing action by binding to troponin-C (inotropic action)[?]K+ Channel opening action -- (responsible for vasodilation)